A 16-year-old boy is rushed to the emergency room after sustaining a stab wound to the chest during a fight. Physical examination reveals a 1-cm entry wound at the right 5th intercostal space in the midclavicular line. His temperature is 37degC (98.6degF), respirations are 35 per minute and blood pressure is 90/50 mm Hg. A chest X-ray shows air in the right pleural space. Which of the following pulmonary conditions is the expected complication of pneumothorax arising in this patient?
1. Atelectasis
2. Chylothorax
3. Diffuse alveolar damage
4. Pyothorax

Correct answer: 1. Atelectasis

Explanation: Pneumothorax is defined as the presence of air in the pleural cavity, may be due to traumatic perforation of the pleura or may be spontaneous. Traumatic causes include penetrating wounds of the chest wall (e.g., stab wound or a rib fracture). Pneumothorax causes collapse of a previously expanded lung, a condition that is termed atelectasis. Chylothorax is the accumulation of lymphatic fluid within the pleural space and is a rare complication of trauma.